Ventouse extraction is done in all EXCEPT:
1. Deep transverse arrest
2. After-coming head of breech
3. Delay in second stage due to uterine inertia.
4. Delay in descent of high head in case of second baby of twins.

Correct answer: 2. After-coming head of breech

Explanation: Ans. B. After-coming head of breech* Absolute indications for use of forceps (or contraindications for use of ventouse)a. After-coming head of breech.b. Premature baby (fetal head remains in a protective cage).c. Fetal distress (ventouse is unsuitable because it takes longer time to deliver).d. Anterior face presentation.e. Pelvic contraction (ventouse cannot generate adequate traction),